BMI to classify obesity should be ?
1. ≥20
2. ≥30
3. ≥40
4. ≥50

Correct answer: 2. ≥30